HP body is seen is
1. Chlamydia trachomatis
2. Chlamydia psittaci
3. Chlamydia pneumoniae
4. Mycoplasma hominis

Correct answer: 1. Chlamydia trachomatis

Explanation: Ans. is 'a' i.e., Chlamydia trachomatis [Ref: Ananthanarayan 9th/e p. 421)HP bodies are seen in :-Chlamydia trachomatis - Halberstaedter Prowazek (HP) bodyMolluscum contagiosum - Henderson paterson (HP) bodies.